Which of the following statements regarding symptomatic thyroglossal duct cysts is true?
1. Over 90% manifest themselves before age 12
2. Treatment includes resection of the hyoid bone
3. They usually present as a painful swelling in the lateral neck
4. Approximately 10-15% contain malignant elements

Correct answer: 2. Treatment includes resection of the hyoid bone

Explanation: Thyroglossal duct cysts result from retention of an epithelial tract between the thyroid and its embryologic origin in the foramen cecum at the base of the tongue. This tract usually penetrates the hyoid bone. There is no sex predilection, and although these cysts are more frequently detected in children, up to 25% do not become symptomatic until adulthood. The most common presentation is a painless swelling in the midline of the neck that moves with protrusion of the tongue or swallowing. The cysts are prone to infection and progressive enlargement. Although rare (less than 1%), epidermoid or papillary carcinomas do occur within thyroglossal duct cysts. Surgical resection is the standard therapy. The Sistrunk procedure, which involves local resection of the cyst and the central portion of the hyoid bone, is the operation of choice. Simple excision of the cyst results in an unacceptably high recurrence rate.